Postural hypotension and failure of ejaculation is most commonly seen in treatment with:
1. Guanethedine
2. Minoxidil
3. Propranolol
4. Sodium nitroprusside

Correct answer: 1. Guanethedine

Explanation: aRef: KDT, 5th ed, p. 514 & 4th ed, p. 551